Cyclops play an important role in the transmission of:
1. Typhoid
2. Yellow fever
3. Dracunculiasis
4. Ancylostomiasis

Correct answer: 3. Dracunculiasis

Explanation: Guinea Worm Causative agent: Dracunculus medinensis. Mode of transmission: consumption of water containing Cyclops harbouring infective stage of parasite - Hence option-3 is the answer. Type of disease: water-based disease. Type of biological transmission: Cyclo development transmission. India certified for elimination of guineaworm : Feb 2000.